Pseudo-hemoptysis is seen mostly with ?
1. Streptococcus
2. E. coli
3. Serratia Marcescens
4. R.S.V

Correct answer: 3. Serratia Marcescens

Explanation: Ans. is 'c' i.e., Serratia Marcesens o Pseudo-hemoptysis is expectoration of blood other than respiratory tract i.e. GIT or blood draining from larynx.Cuases of PseudohemoptvsisCauseHistoryPhysical ExaminationLaboratory testsUpperrespiratorytractLittle or no cough; epistaxis, bleeding from gums when brushing teethGingivitis, telangiectasias, ulcerations, lacerations, or varices of the tongue, ose, or naso-, oro-, or hypopharynxObserving actively bleeding lesionUppergastrointestinaltractCoffee-ground appearance of blood due to mixture with HC1; usually lacks the bubbly, frothy appearance of bloody sputum; nausea, vomiting, or history of gastrointestinal diseaseEpigastric tenderness; signs of chronic liver diseaseAcid pH of blood; blood in nasogastric aspirate; barium swallow, esophagoscopy, and gastroscopySerratiamarcescensPrevious hospitalization broad-spectrum antibiotics mechanical ventilationNormalNo red blood cells in red sputum; culture of organismMalingeringPsychiatric illness; unconfirmed history of massive hemoptysis at midnightNormal unless self-induced lesions seen; patients unable to cough up blood on command (patients with true hemoptysis will)True hemoptysis usually must be ruled out